Village-health guide scheme is not present in -
1. Karnataka
2. JK
3. Tamilnadu
4. All of the above

Correct answer: 4. All of the above

Explanation: The scheme was launched in all states except Kerala,Karnataka,Tamil Nadu,Arunachal Pradesh and Jammu and Kashmir which had alternative system (e.g. Mini health centres in tamilnadu) of providing health services at the village level (refer pgno: 902 park 23rd edition)